Which of the following enzyme acts by a 'Ping-Pong' mechanism?
1. Alanine amino transferase
2. Hexokinase
3. Lactate Dehydrogenase
4. Pyruvate Dehydrogenase

Correct answer: 1. Alanine amino transferase

Explanation: Ping pong displacement: One or more products are released before all the substrate binds the enzyme